Time difference between screening test and standard test is known as-
1. Lead time
2. Generation time
3. CIP
4. Lag time

Correct answer: 1. Lead time

Explanation: Screening is the search for unrecognised disease or defect by means of rapidly applied tests ,examinations or other procedures in apparently healthy individuals. Lead time is the advantage gained by screening.it is the time period between diagonosis by early detection and diagonosis by other means.That is lead time is the time difference between diagonosis by screening tests and standard test. Parks textbook of preventive and social medicine.K Park. Edition 23.Pg no: 136